Infertility in Kartagener syndrome is due to?
1. Oligospermia
2. Blockage of epididymis
3. Asthenospermia
4. Undescended testis

Correct answer: 3. Asthenospermia

Explanation: Asthenospermia or poor sperm motility is due to missing dynein arms, which is the basic defect of Kartagener's syndrome. It is a ciliopathic, autosomal recessive genetic disorder. Around 90% of individuals with kartagener's have ultrastructural defects affecting protein(s) in the outer and/or innerdynein arms. Triad consist of:- - situs inversus - chronic sinusitis - bronchiectasis.